Viremia and the presence of rubella virus in the throat of infect persons bear which of the following relationships to the onset of the rube rash?
1. They precede the rash by 5 to 7 days
2. They precede the rash by 1 to 2 days
3. They occur coincidentally with the rash
4. They occur 1 to 2 days after the rash

Correct answer: 1. They precede the rash by 5 to 7 days

Explanation: Both viremia and the excretion of virus from the throats of persons infected with rubella occur 5 to 7 days before the appearance of the characteristic maculopapular rash. The importance of this relationship is that by the time a pregnant woman first notes the appearance of a rash on one of her children, she has already been exposed to the disease and may, in fact, be infected. If one member of a family develops rubella, all other members who are susceptible to the disease usually become infected.